Commonest location for craniopharyngioma is –
1. Intrasellar
2. Suprasellar
3. Intraventricular
4. Intracerebral

Correct answer: 2. Suprasellar